All of the following substances are added to the urine by means of tubular secretion, except
1. Potassium
2. Hydrogen ion
3. Urea
4. Creatinine

Correct answer: 3. Urea